All are seen in general anxiety disorder EXCEPT:
1. Muscle tension
2. Irritability
3. Fear of impedending doom
4. Restlessness

Correct answer: 3. Fear of impedending doom

Explanation: Fear of impedending doom REF: Kaplan and sadock 9th ed p. 599"Fear of impending doom is seen in panic attack and not generalized anxiety disorder"DSM-IV-TR diagnostic criteria for generalized anxiety disorder are as follows:A. Excessive anxiety and worry (apprehensive expectation), occurring more-days-than-not for at least 6 months, about a number of events or activities (such as work or school performance).B. The person finds it difficult to control the worry.C. The anxiety and worry are associated with three (or more) of the following six symptoms (with at least some symptoms present for more-days-than-not for the past 6 months).Restlessness or feeling keyed up or on edgeBeing easily fatiguedDifficulty concentrating or mind going blankIrritabilityMuscle tensionSleep disturbance (difficulty falling or staying asleep, or restless unsatisfying sleep)D. The focus of the anxiety and worry is not confined to features of other Axis I disorder (such as social phobia, OCD, PTSD etc.)E. The anxiety, worry, or physical symptoms cause clinically significant distress or impairment in social, occupational, or other important areas of functioning.R The disturbance is not due to the direct physiological effects of a substance (e.g., a drug of abuse, a medication) or a general medical condition (e.g., hyperthyroidism), and does not occur exclusively during a mood disorder, psychotic disorder, or a pervasive developmental disorder.